Function of CAMP
1. Ion exchange
2. Activation of protein kinase
3. Activation of Ryanodine receptors
4. Release of acetylcholine

Correct answer: 2. Activation of protein kinase

Explanation: CAMP is a secondary messager, used for intracellular signal transduction, such as transferring into cells the effect of hormones like glucagon etc.it is involved in activation of protein kinase Ref:Guyton and Hall textbook of medical physiology 12th edition,page number 540 ,541,542